Chromosomes are visualized through light microscope with resolution of:
1. 5 kb
2. 50 mb
3. 5 mb
4. 500 kb

Correct answer: 3. 5 mb

Explanation: Chromosomes are visualized through light microscope with resolution of 5 mb.Karyotype analysis:Organize all chromosomes by homology, size and shape.Provide an overview of the whole genome.Detect both numerical and structural chromosomal aberrations (overall resolution is 5 Mega bases (Mb); breakpoint resolution is 5 to 15 Mb).